The number of new cases of a specific disease occurring in a defined population during a specified period of time is known as
1. Incidence
2. Point prevalence
3. Distribution
4. Prevalence

Correct answer: 1. Incidence